Boucher's method of relining is a
1. Open mouth technique
2. Chair side relining technique
3. Functional relining method
4. Closed mouth relining technique

Correct answer: 1. Open mouth technique